Least common complication of fibroid is :
1. Menstrual disorder
2. Malignancy
3. Urinary retention
4. Degeneration

Correct answer: 2. Malignancy

Explanation: Ans. is b i.e. Malignancy Sarcomatous change / malignancy in a fibroid is extremely rare (0.2-0.5%). Most common Fibroid to undergo malignant change is intramural followed by submucous.deg Seen in postmenopausal or permenopausal females of 40 years of age. Features suggestive of malignancy : - Sudden increase in size of fibroid - Fibroid becomes tender and painful - Post menopausal bleeding - Systemic upset and pyrexia may be present Extra Edge : Specific features of different types of fibroid -- Submucous Intramural Subserous Can cause abortions Often associated with heavy menstrual bleeding menorrhagia & anemia Inflammatory change + Malignant change ++ Metrorrhagia can occur due to ulceration in submucous fibroid Inversion (in fundal sub mucous fibroid) Most common histologic type May cause -- 1st trimester bleeding -- Abruptio placentae -- Obstructured labour -- Preterm labour Uterine inertia Associated with menorrhagia Malignant change is most common in intramural type Do not cause abortions Present on the surface of uterus Pressure effects on rectum / ureter (constipation, hydronephrosis) Pedunculated & serous usually not cause anemia but torsion can occurdeg (wandering fibroid) Fibrous / calcific / hyaline change+ Pseudo Meigs syndrome